Non-protein amino acid is
1. Aspartate
2. Histidine
3. Ornithine
4. Tyrosine

Correct answer: 3. Ornithine

Explanation: Non-protein amino acids are those found in our body but not incorporated into proteins. They are not coded by codons. Example of non-protein amino acids: Ornithine Citrulline Homocysteine Beta-alanine GABA Sarcosine Homoserine